Staining method used for mycoplasma ?
1. Fontona method
2. Laviditti method
3. Dienes method
4. None

Correct answer: 3. Dienes method

Explanation: Ans. is 'c' i.e., Dienes method Colonies of mycoplasma may be seen with a hand lens but are best studied after staining by Dienes method. For this, a block of agar containing the colony is cut and placed on a slide. It is covered with a cover slip on which an alcoholic solution of methylene blue and azure has been dried